A child was given Ringer's lactate due to severe blood loss by a road accident. What is the potassium content of Ringers' lactate in mEq/L?
1. 1
2. 2
3. 4
4. 6

Correct answer: 3. 4

Explanation: Composition in 1 Litre of Ringer's lactate: Sodium 130 mEq/L Potassium 4 mEq/L Calcium 3.5 mEq/L Chloride 110 mEq/L Lactate 27 mEq/L Ref: Oski's Pediatrics: Principles And Practice By Julia A. McMillan, Ralph David Feigin, 4th edition, Page 64.